All of the following statement are true about pediatric airway except ________
1. Narrowest part is the glottic region
2. Laryngnx is funnel shaped
3. Epiglottis is long and floppy
4. Large tongue

Correct answer: 1. Narrowest part is the glottic region

Explanation: In pediatric airway narrowest part is the subglottic region at the level of cricoid cartilage.